Which of the following porphyrias is not inherited as an Autosomal Dominant disorder-
1. Acute Intermittent Porphyria
2. Congenital Erythropoietic Porphyria
3. Porphyria Cutanea Tarda
4. Hereditary Coproporphyria

Correct answer: 2. Congenital Erythropoietic Porphyria

Explanation: Ans. is 'b' i.e., Congenital erythropoietic porphyria Inheritance of Porphyrias Autosomal dominant Autosomal Recessive X-linked o Acute intermittent porphyria (AIP) o ALA dehydratase deficiency o X-linked protoporphyria o Porphyria cutanea Tarda (PCT) o Congenital erythropoietic porphyria o Hereditary coproporphyria (HCP) o Erythropoietic protoporphyria o Variegate porphyria (VP)